Not an example of velopharyngeal  Insufficiency
1. Cleft lip
2. Cleft palate
3. Bifid uvula
4. Palatal paralysis

Correct answer: 1. Cleft lip